Most vulnerable period for teratogenicity during fetal development is
1. 1st and 2nd week post fertilization
2. 3rd to 8th week post fertilization
3. 10th to 12th week post fertilization
4. 18th to 20th week post fertilization

Correct answer: 2. 3rd to 8th week post fertilization

Explanation: The preimplantation period is the 2 weeks from fertilisation to implantation and is known as the "all or none" period. As the zygote undergoes cleavage, an insult damaging a large number of cells typically causes embryonic death.However if few cells are injured compensation may be possible, with normal development. The embryonic period is from the 2nd -8th week post fertilisation, encompasses organogenesis and is thus the most critical period with regard to structural malformations. The fetal period, which is beyound 8 weeks, is characterised by continued maturition and functional development and during this time, certain organs remain vulnerable. Reference: William's Textbook of Gynaecology 4th edition page 242